Which of the following is associated with the provision of Primary Health care?
1. Bhore Committee
2. Alma - Ata Declaration
3. Shrivastav Committee
4. National Health Policy

Correct answer: 2. Alma - Ata Declaration

Explanation: At the conference held in 1978, the Alma-Ata Declaration has defined public health care as "Primary Health Care" is essential healthcare made universally accessible to individuals and acceptable to them, through their full participation and at a cost the community and country can afford. Bhore Committee Comprehensive Health Care Alma - Ata Declaration Primary Health Care Shrivastav Committee Health Planning - Group on Medical Education and Support Manpower National Health Policy Health For All by the year 2000z